Dohlman's procedure is used in -
1. Rectal prolapse
2. Esophagealachalasia
3. CAoesophagus
4. Zenker's diverticulum

Correct answer: 4. Zenker's diverticulum

Explanation: Ans. is 'd' i.e., Zenker's diverticulum o Endoscopic Zenker's diverticulectomy is aka Dolmann's procedure.